1 month old baby brought by the mother complaining of a mass on back associated with wetness and inability of both legs to move ever since birth. Possible diagnosis?
1. Pilonidal cyst
2. Spina bifida
3. Meningomyelocele
4. Sacrococcygeal teratoma

Correct answer: 3. Meningomyelocele

Explanation: Ans. (c) Meningomyelocele style="font-size: 1.04761904761905em; color: rgba(0, 0, 0, 1); font-family: Times New Roman, Times, serif; margin: 0 0 8pt">